Copper is a constituent of the enzyme
1. Lysyl oxidase
2. Glucose oxidase
3. Xanthine oxidase
4. Transketolase

Correct answer: 1. Lysyl oxidase

Explanation: Role in Enzyme Action: Cu forms integral part of certain enzymes, e.g. some of cytochromes, cytochrome oxidase, tyrosinase, Monoamine oxidase (MAO), Lysyl oxidase, Catalase, Ascorbic acid oxidase, uricase and superoxide dismutase. These enzymes contain about 550 mg of Cu per gram of enzyme proteinRef: MN Chatterjea Textbook of Medical Biochemistry, 6th edition, page no: 622